EBV is associated with?
1. Nasopharyngeal carcinoma
2. Intestinal carcinoma
3. Endometrial carcinoma
4. Cervical carcinoma

Correct answer: 1. Nasopharyngeal carcinoma

Explanation: Ans is 'a' i.e. Nasopharyngeal carcinoma Important Cancers associated with EBV1) B- cell lymphomas - Burkittrs lymphoma, classic Hodgkin's lymphoma, Diffuse Large B-Cell Lymphoma of the Elderly and lymphomas arising in immunocompromised individuals (post-transplant and HIV-associated lymphoproliferative disorders).2) T-cell lymphomas - peripheral T-cell lymphomas, angioimmunoblastic T-cell lymphoma, extranodal nasal type natural killer/T-cell lymphoma.3) Epithelial tumors - nasopharyngeal carcinoma, gastric carcinoma.